The most common site for Prolapse of intervertebral disc is
1. Cervical region
2. Lower thoracic region
3. Upper thoracic region
4. Lumber region

Correct answer: 4. Lumber region

Explanation: D i.e. Lumbar